All are true about paralytic squint except:
1. Unequal fixation
2. Vertigo
3. Amblyopia
4. Head tilt

Correct answer: 3. Amblyopia

Explanation: Ans: c (Amblyopia)Ref: Pradeep Sharma, pg. 115 Usually paralytic squint is late onset, so sensory adaptation like amblyopia and suppression may not occur. Amblyopia is usually seen in concomitant strabismus. All others are features of paralytic strabismus.